Digibind is used to:
1. Potentiate the action of Digoxin
2. Decrease the metabolism of Digoxin
3. Treat Digoxin toxicity
4. Rapidly digitalize the patient

Correct answer: 3. Treat Digoxin toxicity

Explanation: Ref:KDT 6/e p499 Digoxin immune fab or Digoxin-specific antibody is an antidote for overdose of digoxin. It is made from immunoglobulin fragments from sheep that have already been immunized with a digoxin derivative, digoxindicarboxymethoxylamine. Its brand names include Digibind and DigiFab.